De-Quervain's disease classically affects the -
1. Flexor pollicis longus and brevis
2. Extensor carpi radialis and extensor pollicis longus
3. Abductor pollicis longus and brevis
4. Extensor pollicis brevis and abductor pollicis longus

Correct answer: 4. Extensor pollicis brevis and abductor pollicis longus

Explanation: De-Quervian's tenovaginitis is characterized by pain over the styloid process of the radius and palpable thickening in the course of the abductor pollicis longus and extensor pollicis brevis tendons.